Operation theatre sterilisation is done by
1. savlon cleansing
2. Carbolic acid spray
3. Ultra violet radition
4. Autoclave

Correct answer: 3. Ultra violet radition

Explanation: UV rays are used to disinfect OT for 30-45 min exposure Formaldehyde gas also can be used for fumigation of operation theatres. Ref : Ananthanarayana textbook of Microbiology 9th edition Pgno : 33